Median is ?
1. Middle most value in sequentially arranged data
2. Most frequently occuring value in a data set
3. Highest value in a data
4. Lowest value in a data

Correct answer: 1. Middle most value in sequentially arranged data

Explanation: Ans. is 'a' i.e., Middle most value in sequentially arranged data The median A median is described as the value separating the higher half of a data set from the lower half. o It does not depend on the total, and number of items. To obtain the median, the data is first arranged in an ascending or distending order of magnitude, and then the value of the middle observation is located, which is called median. For example, diastolic BP of 9 individuals was as follows ? 83, 75, 81, 79, 71, 95, 75, 77, 84 Now data is arranged in ascending order ? 71, 75, 75, 77, 79, 81, 83, 84, 95 Here, 79 is the middle observation that is separating the upper four values from lower four values, so it is the median. If there are two values in the middle instead of one, the median is worked out by taking the average of the two middle values. For example, If diastolic BP of 10 individuals is as follows :? 83, 75, 81, 79, 71, 95, 75, 77, 84, 90 Data is arranged in ascending order - 71, 75, 75, 77, 79, 81, 83, 84, 90, 95